Dysphagia lusoria is diagnosed by?
1. USG
2. Fluoroscopy
3. Plain radiograph
4. CT Angiography

Correct answer: 4. CT Angiography

Explanation: Ans DDysphagia lusoria (or Bayford-Autenrieth dysphagia) is an abnormal condition characterized by difficulty in swallowing caused by an aberrant right subclavian artery. The diagnosis of dysphagia lusoria is difficult and late as the symptoms are often nonspecific and diagnostic endoscopy is negative in more than 50% cases, and manometry has no diagnostic role. Chest radiographs can demonstrate enlargement of the superior mediastinum. Barium study of the esophagus may show the indentation on the posterior esophageal wall by the artery. CT angiography and MRI thorax are the investigations of choice.